Vasopressin decreases the volume of urine primarily by causing :
1. Decrease in glomerular filtration rate
2. Decrease in renal blood flow
3. Decrease in water permeability of descending limb of loop of Henle
4. Increase in water permeability of collecting duct cells

Correct answer: 4. Increase in water permeability of collecting duct cells